Alpha rhythm on EEG is seen in:
1. Awake state
2. Mental work
3. Light sleep
4. Deep sleep

Correct answer: 1. Awake state

Explanation: Alpha wave is seen when the person is awake, in a quiet, resting stage of cerebration. Mental work (focused attention) will convert alpha to beta wave. Light sleep converts alpha to theta wave.